Transfer of a portion of the DNA from one bacterium to another by a bacteriophage is known as
1. Transformation
2. Mutation
3. Transduction
4. Conjugation

Correct answer: 3. Transduction

Explanation: Conjugation requires donor cell-to-recipient cell contact to transfer only one strand of DNA. The recipient completes the structure of dsDNA by synthesizing the strand that complements the strand acquired from the donor. In transduction, donor DNA is carried by a phage coat and is transferred into the recipient by the mechanism used for phage infection. Transformation, the direct uptake of "naked" donor DNA by the recipient cell, may be natural or forced.Jawetz 27 e pg: 111